Which of the following is not a phase I reaction
1. Oxidation
2. Deamination
3. Dealkylation
4. Sulfation

Correct answer: 4. Sulfation

Explanation: Sulfation is a phase II metabolic reaction where a conjugate group is attached to the drug, whereas phase I reactions are oxido -reductive reactions.